Which of the following doesn't worsen angina
1. >Sumatriptan
2. >Oxyfedrine
3. >Dipyrickuriole
4. >Thyroxine

Correct answer: 2. >Oxyfedrine

Explanation: Oxyfedrine Drugs that exacerbate angina : Alpha blocker Beta blockers withdrawl Ergotamine Excessive thyroxine Hydralazine Methysergide Minoxidil Nifedipine Oxytocin Sumatriptin' Vasopressin Dipyridamole - Dipyridamole is a vasodilator. It was originally developed as an antianginal agent. But it tends to worsen angina due to "coronary steal" phenomenon. Oxyfedrine - Oxyfedrine was found to depress the tonicity of coronary vessels, increase the coronary circulation volume, the oxygen uptake by the heart and also to exert a positive inotropic and chronotropic action. - It does not precipitate angina. - In fact it is used as an antianginal drug.